Forceps are applied in all the following except :
1. After coming head in breech presentation
2. Face presentation
3. Occipitoposterior
4. Brow presentation

Correct answer: 4. Brow presentation

Explanation: Brow presentation